Scalds are produced by -
1. Dry heat
2. Moist heat
3. Severe burns
4. All

Correct answer: 2. Moist heat

Explanation: Dry heat (e.g. flame) → Simple burns (or burns).
Moist heat → Scalde.